Treatment of choice in a postmenopausal lady with atypical endometrial hyperplasia is ;
1. Estrogens
2. Hysterectomy
3. Progestogens
4. Radiotherapy

Correct answer: 2. Hysterectomy

Explanation: Hysterectomy